Odontogenic infections are mostly caused by
1. MIXED bacteria
2. Anaerobic bacteria
3. Aerobic bacteria
4. Streptococci

Correct answer: 1. MIXED bacteria